Cells present in Cerebellar cortex are all except
1. Purkinje
2. Bipolar
3. Granule
4. Golgi

Correct answer: 2. Bipolar

Explanation: INDERBIR SINGH'S TEXTBOOK OF HUMAN HISTOLOGY-PAGE NO:183 Structure of the cerebellar Cortex In striking contrast to the cortex of the cerebral hemispheres, the cerebellar cortex has a uniform structure in all parts of the cerebellum.it may be divided into three layers ad follows Molecular layer Purkinje cell layer Granular layer,which rests on white matter The neurones of the cerebellar cortex are of five main types Purkinje cells Granular cells Outer stellate cells Basket cells Golgi cells